Which of the following are not affected by Gonococus?
1. Urethra
2. Testis
3. Prostate
4. Seminal vesicle

Correct answer: 2. Testis

Explanation: In men, gonorrhea causes anterior urethritis. Epididymitis may occur in men after gonococcal urethritis. Urethral strictures secondary to gonococcal infection in men are less common. Other complications, such as penile lymphangitis, periurethral abscess, acute prostatitis, seminal vesiculitis, and infection of the Tyson and Cowper glands, are rare.